95% of the values in the distribution corresponds to
1. l.S.D
2. 2. S. D
3. 3. S.D
4. 4. S.D

Correct answer: 2. 2. S. D

Explanation: B i.e. (2 SD) (701 Park 19th) (751-Park 20th)In normal distribution curve* 1 Standard deviation =68% of value.* 2 Standard deviation =95% of value* 3 Standard deviation =99.7% value* Standard normal curve - Smooth bell shaped, perfectly symmetrical**1. Total area of the curve is 1*2. Its mean is Zero3. Standard deviation is 14. The mean, median and mode all coinside**